All are true about Patterson Kelly syndrome except?
1. Iron deficiency anemia
2. Cheilosis
3. Esophageal webs
4. Gastric polyps

Correct answer: 4. Gastric polyps

Explanation: Ans. is 'd' i.e., Gastric polyps * Plummer-Vinson syndrome (PVS), also called Paterson-Brown-Kelly syndrome or sideropenic dysphagia, is a rare disease characterized by :1. Dysphagia (difficulty in swallowing)2. Odynophagia (painful swallowing)3. Pain, Weakness4. Atrophic glossitis5. Angular stomatitis6. Cheilosis7. Esophageal webs (on serial contrasted gastrointestinal radiography)8. Blood tests show a hypochromic microcytic anemia that is consistent with an iron-deficiency anemia.* Esophageal web in Plummer-Vinson syndrome is found at upper end of esophagus (post cricoid region) and Schatzki ring may be found at the lower end of esophagus.* It is more common in women, particularly in middle age (peak age is over 50). In these patients, esophageal squamous cell carcinoma risk is increased.